All of the following are features of Genetic Code except
1. Degenerate
2. Unambiguous
3. Overlapping
4. Universal

Correct answer: 3. Overlapping

Explanation: Features of the Genetic CodeDegenerateUnambiguousNonoverlappingNot punctuatedUniversalRef: Harper's Biochemistry; 30th edition; Chapter 37; Protein Synthesis & the Genetic Code